A study has been done to establish the relationship between smoking and lung cancer. It was found that the association was more in people who exercise less and less in people exercise more. In this situation, exercise is a
1. Bias
2. Confounding
3. Effect modifier
4. Collinear factor

Correct answer: 3. Effect modifier

Explanation: Ans. c. Effect modifier